Complication of the urethral stricture are:
1. Retension of urine
2. Urethral diverticulum
3. Periurethral abscess
4. All of the above

Correct answer: 4. All of the above

Explanation: (AH of the above): Ref: 1394-LB (1368-B &L 25th)Complications of urethral stricture includeTreatments of urethral stricture* Retension of urine* Urethral diverticulum* Periurethral abscess* Urethral fistula* Hernia, haemorrhoides and rectal prolapse due to abdominal straining to void urined* Dilatation- Gum elastic bougie- Filiform and follower- Metal sounds- Self-de-flatation with Nelaton catheter* Urethrotomy- Internal visual urethrotomy* Urethroplasty- Excision and end to end anastomosis- Patch urethroplasty